Replacing alanine by which amiens acid will increase UV absorbance of protein at 280nm wavelength
1. tryptophan
2. Arginine
3. Guanine
4. Lysine

Correct answer: 1. tryptophan

Explanation: ref : satyanaryana 8th ed